Tuberculosis of fallopian tube occurs mainly by -
1. Direct spread from uterine cavity
2. Lymphatic spread
3. Hematogenous spread
4. Iatrogenic

Correct answer: 3. Hematogenous spread

Explanation: Ans.is 'c' i.e., Hematogenous spread o Genital tuberculosis# Almost always a secondary infection.# Most common route of spread is hematogenous.# Most common site is bilateral fallopian tubes, (in fallopian tubes most common part affected is ampulla and most common pathology encountered is endosalpingitis).# Most common in 20 - 30 years age group.# Infertility is the most common symptom.